In retinitis pigmentosa, following are true except –
1. Pigments present
2. Pale waxy disc
3. Narrowing of vessels
4. ERG – normal

Correct answer: 4. ERG – normal

Explanation: ERG is markedly subnormal in retinitis pigmentosa.
There is perivascular pigment deposition, pale- waxy disc and marked attenuation (narrowing) of retinal vessels